Not true about simple bone cyst
1. Treated with curettage
2. Seen in elderly
3. Most common is upper end of humerus
4. Metaphyseal location

Correct answer: 2. Seen in elderly